Which of the following is not seen in tubercular meningitis:
1. Evidence of old pulmonary lesions or a miliary pattern is found on chest radiography
2. Culture of CSF is diagnostic in majority of cases and remains the gold standard.
3. It is seen most often in young children but also develops in adults.
4. Cerebrospinal fluid reveals a low leukocyte count.

Correct answer: 4. Cerebrospinal fluid reveals a low leukocyte count.

Explanation: Ans. (d) Cerebrospinal fluid reveals a low leukocyte count.Ref : Harrison 19th ed. / 898-99Refer to above table* Tubercular meningitis is seen most often in young children but also develops in adults, especially those infected with HIV.* Tubercular meningitis results from the hematogenous spread of primary or post primary pulmonary TB.* The disease often presents subtly as headache and slight mental changes after a prodrome of weeks of low-grade fever, malaise, anorexia, and irritability.* In general, examination of cerebrospinal fluid (CSF) reveals a high leukocyte count (up to 1000/pL), usually with a predominance of lymphocytes but sometimes with a predominance of neutrophils in the early stage; a protein content of 1-8 g/L (100-800 mg/dL); and a low glucose concentration.* Culture of CSF is diagnostic in up to 80% of cases and remains the gold standard. Polymerase chain reaction has a sensitivity of up to 80%, but rates of false-positivity reach 10%* Imaging studies (CT and MRI) may show hydrocephalus and abnormal enhancement of basal cisterns or ependyma.